The buccal bifurcation cyst is most commonly associated with:
1. Mandibular 1st molar
2. Maxillary 1st molar
3. Mandibular 2nd molar
4. Maxillary 2nd molar

Correct answer: 1. Mandibular 1st molar

Explanation: The BBC is associated with multirooted molar teeth with the mandibular first molar being the most commonly associated tooth followed by the second molar.